Which of the following is dental formula of a 9 year
old child:
1. 6EDC21/6EDC21
2. 6EDCBA/6EDC21
3. EDC21/EDC21
4. 76EDC21/76EDC21

Correct answer: 1. 6EDC21/6EDC21